Ketanserine is
1. 5HT 1b antagonist
2. 5HT2 antagonist
3. 5HT 1a agonist
4. 5HT 1d antagonist

Correct answer: 2. 5HT2 antagonist

Explanation: 5-HT2A antagonistsEdit Antagonists of the 5-HT2A receptor are sometimes used as atypical antipsychotics(contrast with typical antipsychotics, which are purely dopamine antagonists). They include: Cyproheptadine blocks 5-HT2A, H1 and is a mild anticholinergic. Methysergide is a 5-HT2A antagonist and nonselective 5-HT1 receptor blocker. It causes retroperitoneal fibrosis and mediastinal fibrosis. Quetiapine blocks 5-HT2A, 5-HT1A, dopamine receptors D1 and D2, histamine receptor H1, and A1 adrenoreceptors. 5-HT2A/2C antagonistsEdit Ketanserin Antihypertensive. Blocks 5-HT2A, 5-HT2C and Alpha 1 (A1) adrenoreceptors. Risperidone antipsychotic Trazodone antidepressant Clozapine antipsychotic. Blocks 5-HT2A, 5-HT2C and D4 receptors. Nefazodone acts primarily as a potent 5-HT2A antagonist. Refer kDT 6/e p167